Paul Bunnell Test is the standard diagnostic procedure for
1. Infectious mononucleosis
2. Ramsay Hunt syndrome
3. Chicken pox
4. Kaposi's varicella form eruption

Correct answer: 1. Infectious mononucleosis

Explanation: (A) Infectious mononucleosis # Standard diagnostic procedure for Infections mononucleosis is the Paul-Bunnel test.> During infectious mononucleosis, heterophile antibodies agglutinate sheep erythrocytes> However, such antibodies may also occur after injections of sera & sometimes even in normal individuals> Infectious mononucleosis antibodies may be differentiated by absorption tests.> The Paul-Bunnel antibody develops early during the course of infectious mononucleosis, and disappears within about two months.